In the Dentocult lactobacilli test, low caries activity is determined by:
1. ＞10,000 C.F.U
2. ＜1000 C.F.U
3. ＜1,000,000 C.F.U
4. ＜10,000 C.F.U

Correct answer: 2. ＜1000 C.F.U